Secondary tumour may spread to the orbit by all of the following except:
1. Direct spread from the lids
2. Via blood stream
3. Via lymphatic channels
4. Directly from the cranial cavity

Correct answer: 3. Via lymphatic channels

Explanation: Ans. Via lymphatic channels